Patient history reveals dyspnoea, orthopnea, and edema of the ankle and palpitation. Most likely diagnosis is:
1. Respiratory problem
2. Hepatic failure
3. Uremia
4. Congestive heart failure

Correct answer: 4. Congestive heart failure